Which of the following is not a feature of the congenital esotropia
1. Onset before 6 months
2. Cross fixation
3. Inferior oblique overaction
4. Surgery rarely required

Correct answer: 4. Surgery rarely required

Explanation: Surgery rarely required Congenital esotropia is the most common form of the esotropia. By definition esotropia that present before 6 month age, are designated as congenital esotropia. Salient features * More common is children with neurological disorder * Equal gender and racial distribution * Cross-Fixation, Nystagmus (Rotatory and latent), Amblyopia * Inferior oblique overaction, dissociated vertical deviation (DVD), Asymmetrical monocular pursuit. Treat amblyopia pre-operatively * Surgery is the mainstay of treatment of strabismus, and is done before 2 years of age.